The following regarding cysticercosis are true except -
1. Commonest sites are meninges and cerebral ventricle
2. Calcification is common
3. Causes focal neurological complication
4. Found in subcutaneous tissues

Correct answer: 1. Commonest sites are meninges and cerebral ventricle